All of the following can be given through endotracheal tube, except
1. Epinephrine
2. Lignocaine
3. Surfactant
4. Calcium

Correct answer: 4. Calcium

Explanation: Lignocaine, epinephrine, atropine and vasopressin can be delivered down a catheter whose tip extends beyond endotracheal tube.